Which drug causes osteoporosis on long-term use
1. Estrogen
2. Progesterone
3. GnRH analogues
4. Warfarin

Correct answer: 3. GnRH analogues

Explanation: Ans. is 'c' i.e., GnRH analogues Drugs causing osteoporosis : o Glucocorticoids o Cytotoxic drugs o Excessive alcohol intake o Excessive thyroxine o Heparin o Cyclosporine o Anticonvulsants o Aluminum o GnRH agonist o Lithium